Triple assessment for carcinoma breast includes :
1. History, clinical examination, biopsy/cytology
2. Clinical examination, mammography, biopsy/cytology
3. History, clinical examination, ultrasonography
4. Observation, ultrasonography, biopsy/cytology

Correct answer: 2. Clinical examination, mammography, biopsy/cytology

Explanation: Triple assessment comprises of :

Clinical examination (palpation).
Radiological imaging (mammography or USG).
Pathological assessment (Biopsy or cytology).